In respiratory and GIT infections, which is the most affected immunoglobulin?
1. IgA
2. IgG
3. IgM
4. IgD

Correct answer: 1. IgA

Explanation: Ans. is 'a' i.e., IgA(Ref: Ananthanarayan,9th/e, p. 97 - 98 and 8th/e, p. 98 - 99)* IgA (Secretory IgA) is selectively concentrated in secretions and on mucous surfaces forming an antibody paste and is believed to play, an important role in local immunity against respiratory and intestinal pathogens.